Lipoprotein with seavenging action is:
1. HDL
2. LDL
3. VLDL
4. None

Correct answer: 1. HDL

Explanation: A i.e. HDLHDL scavanges body cholesterol and blood vessel wall cholesterol by 'reverse cholesterol transport'-[Shinde P- 3861 The transport of cholesterol from the tissue to liver is known as 'reverse cholesterol transport'.* Class B scavenger receptor Bl (SR -B1) and ATP binding cassette transporter Al (ABCA 1) are involved in reverse cholesterol transportQ.* Reverse cholesterol transport involves efflux of cholesterol from peripheral cells to HDL, esterification of cholesterol by PCAT (phosphatidyl choline: cholesterol acyl transferase), binding of cholesterol ester rich HDL (HDL-2) to liver and steroidogenic cells, the selective transfer of the cholesteryl esters into these cells and the release of lipid depleted HDL (HDL-3).The efflux of cholesterol from peripheral cells is mediated by ABCA-1 and the uptake of cholesteryl ester by liver is mediated by SRBI. Hepatic lipase degrade both triacyl glycerol and phospholipid, & participate in conversion of HDL2 to HDL3, (HDL cycle). HDL2 concentrations are inversely related to incidence of coronary atherosclerosis. HDLc (HDLG) is found in diet induced hyper cholesterolemic animals. It is rich in cholesterol & has only apo E apoprotein.